Pulsatile tinnitus in ear is due to -
1. Malignant otitis media
2. Osteoma
3. Mastoid reservoirs
4. Glomus jugulare tumour

Correct answer: 4. Glomus jugulare tumour

Explanation: Pulsatile tinnitus – Seen in Glomus tumor
Pulsatile otorrhea – Seen in ASOM